A 32-year-old man undergoes vasectomy as a means of permanent birth control. A physician performing the vasectomy by making an incision on each side of the scrotum should remember which of the following statements most applicable to the scrotum?
1. It is innervated by the Ilioinguinal and Genitofemoral nerves.
2. It receives blood primarily from the Testicular artery.
3. Its venous blood drains primarily into the Renal vein on the left.
4. Its lymphatic drainage is primarily into Upper Lumbar nodes.

Correct answer: 1. It is innervated by the Ilioinguinal and Genitofemoral nerves.

Explanation: The scrotum is innervated by branches of the Ilioinguinal, Genitofemoral, Pudendal, and Posterior Femoral Cutaneous nerves. The scrotum receives blood supply from the Posterior Scrotal branches of the Internal Pudendal Arteries and the Anterior Scrotal branches of the External Pudendal arteries, but it does not receive blood from the Testicular artery. It is drained by the Posterior Scrotal veins into the Internal pudendal vein. Superficial inguinal lymph nodesreceive lymph from the scrotum, penis, buttocks, and lower part of the anal canal, and their efferent vessels enter primarily to the external iliac nodes and ultimately to the lumbar (aortic) nodes.* Whereas the lymph vessels from the testis drain into the upper lumbar nodes. The deep inguinal nodes receive lymph from the testis and upper parts of the vagina and anal canal, and their efferent vessels enter the external iliac nodes.